Age from teeth can be determined by all methods except
1. Gustafson method
2. Mile method
3. Boyde method
4. Frame method

Correct answer: 4. Frame method

Explanation: A) Gustafsons method: Age can be determined by attrition, peridontosis, secondary dentin, cementum apposition, root resorption and transparency of root. B) The method developed by Miles permits within group assessment of age based on dental attrition. It requires a subadult sample as baseline.The upper and lower scales show ages in years from birth, with different scales for each of the molars (representing separate functional ages of the teeth). The first molars are marked at 6 year intervals, the second at 6.5 and the third at 7 year intervals. C)Boyde's method: Cross strations develop in the enamel of teeth, till the complete formation of enamel. They represent daily incremental lines. The age of an individual can be calculated in terms of days by counting the number of lines from the neonatal line onwards. Ref: K.S.Naryan Reddy's synopsis of Forensic Medicine and Toxicology, 29 th edition, Chapter 4, page 40 & 41.